Retinal detachment occurs between -
1. Layers of neurosensory retina
2. Neurosensory retina and pigment epithelium
3. Pigment epithelium and choroid
4. None of the above

Correct answer: 2. Neurosensory retina and pigment epithelium

Explanation: Ans. is 'b' i.e., Neurosensory retina and pigment epithelium o Retina has total ten layers from with out inward(i) Pigmented epithelium, (ii) Layers of Rods & cones, (iii) External limiting membrane, (iv) Outer nuclear layer, (v) Outer plexiform layers, (vi) Inner nuclear layer, (vii) Inner plexiform layer, (viii) Ganglionic cell layer, (ix) Nerve fibre layer, (x) Internal limiting membraneo Broadly these layers are subdivided into two layers based on the function :-Neurosensory layer or sensory layer (containing layers ii to x of above 10 layers)for vision.Pigmented epithelium (layer i)Provide metabolic support to neurosensory layer and acts as an antireflective layer.o So, inner layers are included in neurosensory layer and outer most layer is retinal pigmented epithelium(RPE).o Retinal detachment is a disorder of eye in which retina peels away from its underlying layer of support tissue. Usually there is separation between the neuroepithelium (neurosensory epithelium or sensory epithelium) and the pigmented layer, because there is a potential space between these two layers where fluid can accumulates and can cause separation.